Abbe- Estlander Flap is used for:
1. Lip
2. Tongue
3. Eyelid
4. Ears

Correct answer: 1. Lip

Explanation: Ans. is 'a' i.e. Lip A flap is a skin graft which has its own blood supply. (Normally a skin graft to survive is revascularized by the recipient bed. A flap has its own blood supply.) Abbey flap is used for Lip reconstruction. It is based on main artery of the orbicularis oris, the labial artery.